Causative agent of Yaws is?
1. Treponema pertenue
2. Treponema carateum
3. Treponema pallidum
4. Treponema endemicum

Correct answer: 1. Treponema pertenue

Explanation: ANSWER: (A) Treponema pertenueREF: Harrison's 17th ed table 163-1FeatureVenereal SyphilisYawsEndemic SyphilisPintaOrganismT. pallidum subsp. pallidumT. pallidum subsp. pertenueT. pallidum subsp. endemicumT. carateumMode of transmissionSexual, transplacentalSkin-to-skinHousehold contacts: mouth-to-mouth or via shared drinking/ eating utensilsSkin-to-skinUsual age ofacquisitionLateAdulthoodEarly childhoodEarly childhoodchildhoodPrimarylesionCutaneous ulcer (chancre)Papilloma, often ulcerativeRarely seenNon-ulcerating papule with satellites, pruriticLocationGenital, oral, analExtremitiesOralExtremities, faceSecondarylesionsMucocutaneous lesions; condylomata lata, osteoperiostitisCutaneouspapulosquamouslesions;osteoperiostitisFlorid mucocutaneous lesions (mucous patch, split papule, condyloma latum)Pintides, pigmented, pruriticLatecomplicationsGummas, cardiovascular and CNS involvementDestructive gummas of skin, bone, cartilageDestructive gummas of skin, bone, cartilageNondestructive, dyschromic, achromic macules